Best prognosis in reversibility occurs in :
1. lsthmo - Isthmic type
2. lsthmo - ampullary type
3. Ampullary - foreacial type
4. Ampullary fimbrial type

Correct answer: 1. lsthmo - Isthmic type

Explanation: lsthmo - Isthmic type